The citric acid cycle is a hub of energy transformation. Which citric acid cycle enzyme produces ATP by substrate level phosphorylation?
1. Aconitase
2. Succinate dehydrogenase
3. Isocitrate dehydrogenase
4. Succinate thiokinase

Correct answer: 4. Succinate thiokinase

Explanation: Succinate thiokinase uses the energy from removal of CoA from succinyl CoA to phosphorylate GDP to GTP. Aconitase isomerizes citrate to isocitrate. Succinate dehydrogenase produces FADH2, but not ATP, by oxidizing succinate to fumarate. Isocitrate dehydrogenase generates NADH, but not ATP, by oxidizing isocitrate to -ketoglutarate.